Ovary is supplied by which nerve root?
1. T9
2. T10
3. L4
4. T1

Correct answer: 2. T10

Explanation: The ovaries are paired organs situated close to the wall on either side of the pelvis minor, a little below the brim. Each measures 2.5-5 cm in length, 1.5-3 cm in breadth, and 0.7-1.5 cm in width, weighing about 4-8 g. The nerve supply of the ovaries arises from T10. The ovary is suspended by means of the mesovarium, the suspensory ligament of the ovary, and the ovarian ligament. Ref: Krantz K.E. (2007). Chapter 2. Anatomy of the Female Reproductive System. In A.H. DeCherney, L. Nathan (Eds), CURRENT Diagnosis & Treatment Obstetrics & Gynecology, 10e.